A child on Beta-2 agonists for the treatment of bronchial asthma may exhibit all of the following features EXCEPT:
1. Tremors
2. Hypoglycemia
3. Hypokalemia
4. Bronchodilation

Correct answer: 2. Hypoglycemia

Explanation: ref; KD Tripathi Pharmacology 7th edition(page no;132) Beta two agonists produce bronchodilatation. Muscle tremors are the dose-related side effect. Palpitation, restlessness, nervousness, throat irritation and ankle oedema can also occur. Beta-2 agonists produce glycogenolysis -hyperglycaemia